A radiolucent root canal suddenly disappears at the mid root portion, the most probable diagnosis is
1. Calcifications within the pulp
2. Bifurcation of the canal
3. Sclerosis of the adjacent bone
4. Ankylosis

Correct answer: 2. Bifurcation of the canal